Supination occurs at which joint:
1. Elbow
2. Wrist
3. Radio-ulnar
4. Metacarpophalangeal

Correct answer: 3. Radio-ulnar

Explanation: Ans. C. Radio-ulnarPronation and supination are a pair of unique movements possible only in the forearms and hands, allowing the human body to flip the palm either face up or face down. This movement occurs at proximal & distal radio-ulnar joint. Supination is by supinator & biceps brachii. Pronation is by pronator teres & quadratus.